Which of the following statements about cefuroxime is true?
1. It is active against bacteroides
2. It is superior to ceftriaxone for treatment of meningitis
3. It has poor CSF penetration
4. It is rapidly excreted by kidneys

Correct answer: 4. It is rapidly excreted by kidneys

Explanation: Ans. (D) It is rapidly excreted by kidneys(Ref: GG 1497)Cefuroxime has good CSF penetration. It can be used for meningitis, however ceftriaxone is superiorCefuroxime is not effective against anaerobes